Most common cause of rubeosis iridis is
1. Vitreous hemorrhage
2. CRVO
3. CRAO
4. Diabetes mellitus

Correct answer: 4. Diabetes mellitus

Explanation: Rubeosis iridis is a condition in which new blood vessels form on the anterior surface of the iris. It occurs in diabetics of long standing and in thrombosis of the retinal vein.